Tattooing colors the skin permanently because pigmented dyes are injected into the
1. Stratum Lucidum
2. Stratum Granulosum
3. Stratum Corneum
4. Stratum reticularosum

Correct answer: 4. Stratum reticularosum

Explanation: The dermis is highly vascular and glandular and contains many nerve endings and hair follicles. Dermis has two layers: (i ) Upper layer called the stratum papillarosum (papillary layer), which is in contact with the epidermis. Numerous projections (papillae) extend from this layer into the epidermis. Papillae form the base for the friction ridges on the fingers and toes. (ii ) The lower layer is called stratum reticularosum. Tattooing colors the skin permanently because the pigmented dyes are injected below the mitotic basal layer into the dermis Ref: Textbook of Forensic Medicine and Toxicology; 5th edition; Page no: 214